Screening of immigrants from infectious diseases such as Tuberculosis and Syphilis to protect the home population is an example of:
1. High-risk screening
2. Prospective screening
3. Prescriptive screeing
4. Periodic health examinations

Correct answer: 2. Prospective screening

Explanation: Control of disease is also known as "Prospective screening". People are examined for the benefit of others :- Examples- Screening of Immigrants from infectious diseases such as Tuberculosis and Syphilis to protect the home population. Screening for streptococcal infection to prevent rheumatic fever. Prescriptive screening is defined as the presumptive identification of unrecognized disease, which does not arise from a patient's request :- Examples- Neonatal screening. Specific diseases sought by this method have included - Bacteriuria in pregnancy Breast cancer Cervical cancer Deafness in children Diabetes mellitus Iron deficiency anaemia PKU Pulmonary tuberculosis Haemolytic disease of the newborn etc.